Wallenberg's syndrome does not involve:
1. IX
2. X
3. XI
4. XII

Correct answer: 4. XII

Explanation: Answer is D (XII): Snell's Neuroanatomy 6th/190; Harrison 18th/p 3288, 3289 Cranial Nerve XII is involved in medial medullary syndrome and not in lateral medullary syndrome. Issuing fibres of cranial nerve IX and X are involved directly while cranial part of spinal accessory nerve (XI) may be affected because of the involvement of nucleus ambiguous Nucleus Ambiguous is involved in Lateral Medullary Wallenberg syndrome Nucleus ambiguous consists of large motor neurons and is situated deep within the reticular formation. The emerging nerve fibres joint the glosso pharyngeal (IX), vagus (X) and cranial part of the accessory nerve (XI) and are distributed to voluntary muscles.